Endoscopic nasal surgery is indicated in-
1. Chronic sinusitis
2. Epistaxis
3. Both
4. None

Correct answer: 3. Both